Oral cephalosporin among these is :
1. Cefatoxime
2. Ceftriaxone
3. Cefaclor
4. Ceftazidime

Correct answer: 3. Cefaclor